Which of the following staphylococcal infection is not toxin mediated?
1. Toxic shock syndrome
2. Food poisoning
3. Septic shock
4. Staph Scalded Skin Syndrome

Correct answer: 3. Septic shock

Explanation: Staphylococcal scalded skin syndrome/ Pemphigus neonatorum/Ritter's disease/Localized bullous impetigo Induced by epidermolytic exotoxins(exfoliatin)A and B, which are released by S. aureus -detachment within the epidermal layer, by breaking down the desmosomes. One of the exotoxins is encoded on the bacterial chromosome, while the other is encoded on a plasmid. Septic shock Result of a systemic response to infection or multiple infectious causes. Sepsis may be present, but septic shock may occur without it.